A patient with multinodular goiter developed pain and difficulty in breathing which of the following types of thyroid carcinoma is most likely to cause this complication -
1. Medullary carcinoma
2. Papillary carcinoma
3. Follicular carcinoma
4. Anaplastic carcinoma

Correct answer: 4. Anaplastic carcinoma

Explanation: Ans. is 'd' i.e., Anaplastic carcinoma Anaplastic Carcinoma* This tumor is one of the most aggressive thyroid malignancies, with few patients surviving six months beyond diagnosis.* All forms of treatment have been disappointing. If mass is resectable then thyroidectomy may lead to small improvement in survial.* It is locally aggressive and infiltrates surrounding tissue and can lead to airway obstruction and dyspnoea* Combined radiation and chemotherapy as adjuvant in resectable cases has been associated with prolonged survival. These are now also being used in neoadjuvant setting.* Tracheostomy may be needed to alleviate airway obstruction.